Complications of Colle's fracture include all of the following except:
1. Malunion
2. Nonunion
3. Sudeck's osteodystrophy
4. Rupture of EPL tendon

Correct answer: 2. Nonunion

Explanation: B i.e. Nonunion